Examination of mouth of a patient with HIV/AIDS may commonly reveal
1. Macroglossia
2. Periodontal diseases
3. Loss of sensation of taste
4. Red tongue

Correct answer: 2. Periodontal diseases